The characteristic triad of Klippel - Feil syndrome includes all of the following, Except -
1. Short neck
2. Low hair line
3. Limited neck movements
4. Elevated scapula

Correct answer: 4. Elevated scapula

Explanation: Klippel - feil syndrome : congenital condition with congenital short & stiff neck ,low range of movements, low hair line .it is due to fused or deformed cervical vertebra. congenital high scapula - sprengel 's shoulder REF:essential orthopedics,Maheshwari, 9th edition, pg.no.224